Most common symptom of tetanus is:
1. Tonic-clonic seizures
2. Hemplegia
3. Lock-jaw
4. Opisthotonus

Correct answer: 3. Lock-jaw

Explanation: Ans. is. 'c' i. e. Lock-jaw